When noting condylar guidance, incisal pin should be
1. In contact with guidance table
2. Out of contact
3. Not at all related
4. None of the above

Correct answer: 2. Out of contact